A 18-year old Rohith was complaining of severe weakness, dizziness, and sleepiness during the preceding 4 weeks. In a previous episode 3 weeks earlier, he had drowsiness and generalized tiredness. Upon questioning, he reported unquenchable thirst, and the repeated need to urinate.he had lost 4kg of weight. Laboratory, on admission, showed glucose of 560 mg/dl.A urine sample was 4+ for glucose and had "large" acetone. HbA1c was 14%.which of the following is true regarding this patient?
1. Increased glucose uptake
2. Increased lipolysis
3. Decreased hepatic glucose output
4. Decreased protein catabolism

Correct answer: 2. Increased lipolysis

Explanation: The following clinical picture most probably suggests diagnosis of Type-1 Diabetes. In Diabetes body is in catabolic situation. Catabolic pathways are increased and anabolic pathways are decreased So,there is increased lipolysis,increased protein catabolism,increased hepatic glucose output due to gluconeogenesis. Due to insulin deficiency,there is decreased glucose uptake by peripheral cells Reference: Harpers illustrated biochemistry 30th edition